H. pylori has been implicated in all, except:
1. Gastric ulcer
2. Gastric carcinoma
3. Gastric lymphoma
4. Gastric leiomyoma

Correct answer: 4. Gastric leiomyoma

Explanation: Diseases associated with H. pylori Antral Predominant gastritis Corpus Predominant Atrophic Gastritis Non-atrophic Pangastritis(chronic Superficial gastritis) Duodenal ulcer Gastric ulcer Gastric adenocarcinoma MALT lymphoma